Immersion syndrome is also called as ?
1. Hydrocution
2. Wet drowning
3. Dry drowning
4. Secondary drowning

Correct answer: 1. Hydrocution

Explanation: Ans. is 'a' i.e., Hydrocution Immersion syndrome - is also called as hydrocution or submersion inhibition or vagal inhibition. Atypical drowning It refers to drowning in which even after submersion of body in water, little or no water anters respiratory passages and lungs. Hence typical findings of wet drowning in the form of froth and oedema aquosun: of lungs are not found. Atypical drowning may be : Dry drowning : On contact with water, especially cold water, there results intense laryngospasm, so that water does not enter the lungs. Death is due to asphyxia because of laryngospasm. Immersion syndrome (hydrocution/submersion inhibition/vagal inhibition) : Sudden death occurs due to vagal inhibition as a result of (a) sudden impact with cold water, (b) duck diving (falling in water with feet first), and (c) horizontal entry in water with impact on epigastrium. Submersion of unconscious : If person is unconscious since before submersion in water, little or no water enters respiratory passages. It may occur in MI, cerebrovascular accident, hypertension, epilepsy, cerebral aneurysm and in drunk state. Near drowning (secondary drowning syndrome/post immersion syndrome) : In this drowning is survived and death occurs at a later stage after removal from water. Either the person himself comes out of water or he is recovered alive, but due to complications of submersion, he dies at a later stage. It is due to hypoxic encephalopathy and fibrosing alveolitis. The death occurs due to combined effect of cerebral hypoxia, pulmonary edema, aspiration pneumonitis, electrolyte disturbances and metabolic acidosis.